'Egg on Side' Appearance is seen in:
1. Tricuspid Atresia
2. Tetralogy of fallot
3. Total Anomalous Pulmonary Venous Connection (TAPVC)
4. Transposition of great arteries

Correct answer: 4. Transposition of great arteries

Explanation: Chest Xray in a case of transposition of great arteries shows 1) appearance of an egg on its side because the aorta and pulmonary artery shadows are overlapping producing a narrow pedicle 2)Concave pulmonary artery segment, although vascularity in the lungs is increased unless transposition is associated with pulmonary stenosis. Ref: The Great Ormond Street Colour Handbook of Paediatrics and Child Health By Stephan Strobel, Peter Smith, Page 127; The Chest X-Ray By Francis Burgener, Martti Kormano, Page 16, 23; Pediatric Cardiovascular Medicine By James H. Moller, Page 479